Which of the following most accurately describes the therapy available for the prevention and treatment of C. diphtheriae
1. Antimicrobial therapy for prophylaxis only
2. Diphtheria toxoid (DPT) booster vaccination only
3. Antitoxin only
4. Antimicrobial therapy and prophylaxis, antitoxin, and toxoid (DPT)

Correct answer: 4. Antimicrobial therapy and prophylaxis, antitoxin, and toxoid (DPT)

Explanation: Protection against C. diphtheriae can be established through both active and passive immunity. Active immunity consists of a toxoid administered in the form of the DPT vaccine. Passive immunity is established by administering diphtheria antitoxin (immunoglobulins). Antimicrobial therapy (erythromycin) can be used to effectively treat patients with clinical diphtheria.